Not true about PUJ obstruction is:
1. Retrograde pyelography is useful to locate the site of obstruction
2. Endoscopic pyelotomy is contraindicated
3. Whittaker test is of clinical significance
4. Dismembered pyeloplasty is the procedure of choice

Correct answer: 2. Endoscopic pyelotomy is contraindicated

Explanation: Ans. (b) Endoscopic pyelotomy is contraindicatedPUJ obstruction Salient points:Most common cause of fetal hydronephrosisMost common in boys, most common in left sideBilateral in 10-15%IOC is DTPA scanAnderson Hynes Pyeloplasty is the Gold standard treatmentEndoscopic treatment is endoscopic pyelotomy